Not used for diagnosis of Leptospirosis:
1. Microscopic agglutination test
2. Dark field illumination
3. Macroscopic agglutination test
4. Weil-Felix reaction

Correct answer: 4. Weil-Felix reaction

Explanation: Ans. (d) Weil-Felix reaction